Bristow elevator is to :
1. Luxate the teeth.
2. To elevate fractured zygomatic bone.
3. For reduction of nasal complex fracture.
4. All of the above.

Correct answer: 2. To elevate fractured zygomatic bone.